A 58-year-old man with a long-standing history of type 2 diabetes mellitus suffers a massive hemorrhagic stroke and expires. Examination of the pancreas shows hyalinization of many islets of Langerhans. Which of the following characterizes the material within the islets of Langerhans?
1. Amyloid
2. Collagen type IV
3. Fibrin
4. Fibronectin

Correct answer: 1. Amyloid

Explanation: T2DM Amyloid is often present within islets of Langerhans, particularly in patients over 60 years of age. Amyloid is derived from a polypeptide molecule known as amylin, which is secreted with insulin by b-cell. 20% of aged non-diabetic persons also have amyloid deposits in pancreas